All of the following pairs are true except:
1. Kleb-Loeffler bacillus: Corynebacterium diphtheria
2. Koch Week bacillus: Hemophilus influenzae
3. Eaton's agent: Mycoplasma pneumonia
4. Battey bacillus: Mycobacterium intracellular

Correct answer: 2. Koch Week bacillus: Hemophilus influenzae

Explanation: Ans. B. Koch Week bacillus: Haemophilus influenzaeKoch Week bacillus is H aegyptiusExample of common name of bacteria after their discoverersCommon nameBacteriaKleb-Loeffler bacillusCorynebacterium diphtheriaKoch Week bacillusHaemophilus aegyptiusEaton's agentMycoplasma pneumoniaBattey bacillusMycobacterium intracellulareJohne's bacillusMycobacterium paratuberculosisPreisz Nocard bacillusCorynebacterium pseudotuberculosisGaffky Eberth bacillusSalmonella Typhi